Winging of scapula is due to paralysis of
1. Pectoralis major
2. Serratus anterior
3. Pectoralis minor
4. Latissimus dorsi

Correct answer: 2. Serratus anterior

Explanation: WINGING OF SCAPULA: Paralysis of serratus anterior causes 'winging of scapula' It is supplied by the long thoracic nerve. FEATURES: Medial border of the scapula becomes unduly prominent The inferior angle becomes prominent. The arm cannot be abducted beyond 90degree. REF: BD Chaurasia 7th edition page no: 12.